Most common delusions seen in schizophrenia are
1. Delusions of erotomania
2. Delusions of persecution
3. Delusions of grandiosity
4. Delusions of infidelity

Correct answer: 2. Delusions of persecution

Explanation: Delusions of persecution are most common delusions in schizophrenia Bizarre delusions may also be seen in schizophrenia Ref: Essentials of postgraduate psychiatry By JN Vyas 1st ed Pg 398